Scutum is present in
1. Roof
2. Lateral wall
3. Anterior wall
4. Posterior wall

Correct answer: 2. Lateral wall

Explanation: The scutum in the ear is a sharp bony spur formed by the superior wall of the external auditory canal and the lateral wall of the tympanic cavity. REF.BDC VOL.3,SIXTH EDITION